In which of the following disorders is administration of barbiturates contraindicated in
1. Anxiety disorders
2. Acute intermittent porphyria
3. Kernicterus
4. Refractory status epilepticus

Correct answer: 2. Acute intermittent porphyria

Explanation: Contraindications of barbiturates: Acute intermittent porphyria- Barbiturates exacerbate it by inducing microsomal enzymes (d aminolevulinic acid synthetase) and increasing porphyrin synthesis. Liver and kidney disease Severe pulmonary insufficiency e.g. emphysema Obstructive sleep apnoea Uses of barbiturates: Anxiety disorders Epilepsy Kernicterus / Congenital nonhemolytic jaundice : Phenobarbitone induces conjugation of bilirubin and hastens clearance of jaundice.